Shoulder pain after laproscopic surgery, next step in management is-
1. Oral paracetamol for 2 - 3 days
2. USG of shoulder region
3. Diagnostic shoulder arthroscopy
4. Intraarticular lignocaine injection

Correct answer: 1. Oral paracetamol for 2 - 3 days

Explanation: Ans. is 'a' i.e.,Oral paracetamol for 2 - 3 days Shoulder tip pain after laproscopic surgery:* The patient should be warned about this preoperatively and told that the pain is referred from the diaphragm and not due to a local problem in the shoulders.* It can be at its worst 24 hours after the operation.* It usually settles within 2-3 days and is relieved by simple analgesics such as paracetamol.